Contraindication for portosystemic shunt include
1. Serum albumin less than 3mg%
2. Massive ascites
3. Significant jaundice
4. All of the above

Correct answer: 4. All of the above

Explanation: Poo-systemic shunting is avoided in CTP class C. All the optiisn belong to class C Ref: Sabiston 20th edition Pgno : 1436